Olliers disease also known as?
1. Osteosarcoma
2. Enchondromatosis
3. Multiple myeloma
4. Enchondrosis

Correct answer: 2. Enchondromatosis

Explanation: Ans. (b) Enchondromatosis(Ref: Robbins 9th/pg)Ollier disease is a rare, non inherited disease of unknown cause characterized by multiple enchondromas.